Barrett's esophagus is commonly associated with one of the following:
1. Adenocarcinoma
2. Squamous cell carcinoma
3. Sarcoma
4. Gastrointenstinal stromal tumor

Correct answer: 1. Adenocarcinoma